17.A patient presents with antrochoanal polyp arising from the medial wall of maxilla.Which of the following would be the best management for the patient:
1. Fess with polypectomy
2. Medial maxillectomy
3. Caldwell luc procedure
4. Intranasal polypectomy

Correct answer: 1. Fess with polypectomy

Explanation: Treatment of choice for antrochoanal polyp in a child is functional endoscopic sinus surgery (FESS) or intra-nasal polypectomy. Caldwell-Luc operation is avoided. Ref.Dhingra 6/e p 175,7e pg 510